Perifascicular atrophy is seen in –
1. Duchenne muscular atroply
2. Wilson disease
3. Beckers's dystrophy
4. Dermatomyositis

Correct answer: 4. Dermatomyositis

Explanation: Muscle biopsy in dermatomyositis shows myonecrosis, myophagocytosis and perifascicular atrophy.